An investigator concluded that presence or absence of five factors determine the disease condition. Which of the following would be most appropriate next study to determine if any of these five factors are independent precursors of the disease?
1. Multiple linear regression analysis
2. Multiple logistic regression analysis
3. Analysis of variance (ANOVA)
4. Kruskall - Wallis Analysis of ranks

Correct answer: 2. Multiple logistic regression analysis

Explanation: Logistic regression analysis is a popular and widely used analysis that is similar to linear regression analysis except that the outcome is dichotomous (e.g., success/failure or yes/no or died/lived). we examine the odds of an outcome occurring (or not), and by using the natural log of the odds of the outcome as the dependent variable the relationships can be linearized and treated much like multiple linear regression.